Lesion in the optic chiasma causes
1. Bitemporal hemianopia
2. Upper nasal
3. Lower nasal
4. Upper temporal

Correct answer: 1. Bitemporal hemianopia

Explanation: A i.e. Bitemporal hemianopia